All are common causes of a pyogenic liver abscess Except
1. E. coli
2. Proteus
3. Klebsiella
4. Staphylococcus

Correct answer: 2. Proteus

Explanation: E. coli- MC in western countriesKlebsiella pneumonia- MC in Asian countriesStaphylococcus- MC in children, suffering from a chronic granulomatous disease